Volcano sign is seen in?
1. Leprosy
2. Leishmaniasis
3. Lupus vulgaris
4. DLE

Correct answer: 2. Leishmaniasis

Explanation: Ans. is 'b' i.e., Leishmaniasis Volcano sign* It is descriptive term for the morphologic feature of Old World cutaneous leishmaniasis. The lesion starts as a small nontender papule, which enlarges in size and ulcerates in the centre. The border of the crusted ulcer often has an erythematous rim and is called as "Volcano sign".